All of the following enzymes are involved in oxidation - reduction reactions, except
1. Dehydrogenases
2. Hydrolases
3. Oxygenases
4. Peroxidases

Correct answer: 2. Hydrolases

Explanation: Oxidoreductases (enzymes involved in oxidation - reduction reactions) are : dehydrogenases, oxidases, hydroperoxidases (catalase, peroxidase), oxygenases, reductases and hydroxylases (not hydrolases).